A 60 year old man presents in OPD with history of opium addiction for the last 20 yrs. He has given up opium for 2 days. Withdrawal symptoms will include:
1. Drowsiness
2. Constricted pupil
3. Rhinorrhoea
4. |ed Blood pressure

Correct answer: 3. Rhinorrhoea

Explanation: (Withdrawal symptoms due to any drug of addiction are usually same, barring minor differences- Chilliness/ sensation of cold, uneasiness, yawning, rhinorrhoea, lacrimation, goose-skin, tremors, dilated pupils, anorexia, tachypnoea, | sleep, fever, HT, cramps legs/abdomen, diarrhoea. A good way to remember s/s of withdrawal syndrome is that there is loss of fluids from all natural orifices.)